Hyperparathyroidism will lead to which bony changes given below?
1. multiple bone cysts
2. Subperiosteal bone resorption
3. Brown's tumor
4. All of the above

Correct answer: 4. All of the above

Explanation: *Radiological features of bone are: Rarefaction of bones, salt pepper skull, loss of lamina dura, sun- periosteal resorption of bone, multiple cysts, Browns tumor and collapse of vertebrae with biconvex disc. Brown tumour * The brown tumor is a bone lesion that arises in settings of excess osteoclast activity, such as hyperparathyroidism. * It is not a true neoplasm, as the term "tumor" suggests; however, it may mimic a true neoplasm. * Brown tumours are radiolucent on x-ray. Brown tumours consist of fibrous tissue, woven bone and supporting vasculature, but no matrix. * The osteoclasts consume the trabecular bone that osteoblasts lay down and this front of reparative bone deposition followed by additional resorption can expand beyond the usual shape of the bone, involving the periosteum thus causing bone pain. * The characteristic brown coloration results from hemosiderin deposition into the osteolytic cysts. * Hemosiderin deposition is not a distinctive feature of brown tumors; it may also be seen giant cell tumors of the bone Ref: Text books of Essential in Orthopaedics maheswari 9th ed p.1129